In which one of the following conditions is gas under diaphragm not seen
1. Perforated duodenal ulcer
2. Typhoid perforation
3. After laparotomy
4. Spontaneous rupture of oesophagus

Correct answer: 4. Spontaneous rupture of oesophagus

Explanation: After spontaneous rupture, the pressure in the oesophagus rapidly increases and burst at its weakest point in lower one-third, sending a stream of material into the mediastinum and often into the pleural cavity. Thus pneumomediastinum is formed Reference: Bailey and Love edition: 24 page no: 996